A 40 year old male patient presents with a painless swelling causing fullness of upper lip and elevation of nostril on left side. The only positive radiographic finding is unilateral elevation of floor of nasal cavity. The probable diagnosis is:
1. Globulomaxillary cyst
2. Polyp in the nasal cavity
3. Radicular cyst
4. Nasolabial cyst

Correct answer: 4. Nasolabial cyst